Drug which does not interfere with folic acid metabolism-
1. Phenytoin
2. Gabapentin
3. Phenobarbitone
4. Primidone

Correct answer: 2. Gabapentin

Explanation: Ans. is 'b' i.e., GabapentinDrugs causing folate deficiencyInterference with folic acid absorptionInhibition of dihydrofolate reductaseImpair folate metabolismo Phenytoino Phenobarbitone\o Primidoneo Sulfasalazineo Cotrimoxazoleo Methotrexateo Pyrimethamineo Triametereneo Pentamidineo Trimethoprimo Alcohol